A 40 years old male develops excessive hyperven-tilation. A G reveals pH- 7.5 pCO2 24 mm Hg PO2 88 mm of Hg. True statement is -
1. Respiratory alkalosis
2. Metabolic alkalosis
3. Respiratory acidosis
4. Metabolic acidosis

Correct answer: 1. Respiratory alkalosis

Explanation: First step

Determine whether it is acidosis or alkalosis
Increased pH indicates alkalosis

Second step

Inspect HCO3-/CO2 to determine the cause of alkalosis or acidosis.

pCO2 → 24 mm Hg (decreased)

The alteration in CO2 is in sync. with the alteration in the pH, so the alkalosis can be attributed to a decrease in pCO2.
Thus, it is a case of respiratory alkalosis.